All are features of Vit. D intoxication, except ?
1. Nausea and vomiting
2. Muscular weakness
3. Anorexia
4. Oliguria

Correct answer: 4. Oliguria

Explanation: Ans. is 'd' i.e., Oliguria There is polyuria (not oliguria) Hvpervitaminosis D o The sign and symptoms of vitamin D intoxications are secondry to hypercalcemia which is caused by - i) Excessive bone resorption (major cause) --> Vit D causes bone resorption. ii) Increased calcium absorption o Manifestations are ? 1. GIT Nausea, vomiting, anorexia, poor feeding, constipation, abdominal pain and pancreatitis. 2. CIS --> Hypertension, arrhythmias and decreased QT interval. 3. CNS Lethargy, hypotonia, confusion, psychosis, disorientation, depression, hallucinations & coma. 4. Kidney ---> Polyuria, hypernatremia, dehydration, nephrolithiasis and nephrocalcinosis. Metastatic calcification.